Beta-naphthyl amine dyes predisposes to:
1. Urinary bladder Carcinoma
2. Renal carcinoma
3. Hepatic carcinoma
4. Lung carcinoma

Correct answer: 1. Urinary bladder Carcinoma

Explanation: Ans. A: Urinary bladder Carcinoma Rehn in 1895 first implicated aniline dyes as cocarcinogenic agent for bladder malignancy. Other aromatic amines like 2-naphthylamine, benzidine, xenylamine, 4-aminobiphenyl, 4-nitrobiphenyl, combustion gases, soot and coal, acrolein are also cocarcinogenic. It has been estimated that occupational exposure accounts for involving 20% of bladder cancer. People exposed to these dyes are workers of rubber, dye, cable, petroleum industries, textile industries,leather industries, beautician, painter. The latency period is long varying between 18 to 40 years